Which of these pathologies is the most common benign tumour of the parotid gland?
1. Mumps
2. TB
3. Heerfordt syndrome
4. Pleomorphic adenoma

Correct answer: 4. Pleomorphic adenoma

Explanation: Mumps causes the classic bilateral parotitis, but it can present as a unilateral enlargement in rare cases. Heerfordt syndrome includes sarcoidosis.
Tuberculosis historically was associated with ‘cold abscess’. It is caused by Mycobacterium tuberculosis, an acid-fast bacterium that does not stain with Gram stain. It requires Ziehl–Neelsen staining.